Fat soluble vitamins are:
1. A, B, D, K
2. A, D, E, K
3. A, B, E, K
4. A, C, E, K

Correct answer: 2. A, D, E, K